Higher cortisol levels are seen in w hich of the following conditions?
1. Depression
2. Phobia
3. Schizophrenia
4. Parkinsonism

Correct answer: 1. Depression

Explanation: (A) Depression # Higher cortisol (stress) levels in depressed individuals.> Fig shows the Hypothalamic-Pituitary-Adrenal Axis in Depression> In normal controls, dexamethasone leads to feedback inhibition of cortisol.> In depressed patients, dexamethasone seems less able to produce feedback inhibition of cortisol (a faulty H-B-A system).> Sleep and Depression: Depressed patients spend little/no time in deep (stage 3/4) sleep (remember that cortisol levels normally Fall during the night and rise just before we wake up, but may remain elevated in depressed patients).